Regarding neuraxial anesthesia, which of the following statement is true?
1. Aspirin should be stopped 7 days before surgery
2. Unfractionated heparin should be stopped 7 days before surgery
3. Fondaparinux should be stopped 7 days before surgery
4. Clopidrogrel should be stopped 7 days before surgery

Correct answer: 4. Clopidrogrel should be stopped 7 days before surgery